Left heart failure findings are all except:
1. Kerley B lines
2. Redistribution of blood vessels to apex (increased flow in upper lobe veins)
3. Oligemic lung field (pulmonary oligemia)
4. Cardiomegaly

Correct answer: 3. Oligemic lung field (pulmonary oligemia)

Explanation: C. i.e. Oligenic lung field